Mc Call Festoons are seen in which teeth
1. Central Incisors
2. Canine and Premolars
3. Lateral incisors
4. Molars

Correct answer: 2. Canine and Premolars